UMN lesion is characterised by -
1. Weakness & spasticity
2. Fasciculations
3. Rigidity
4. Localised muscle atrophy

Correct answer: 1. Weakness & spasticity